Residual urine is?
1. Urine left in the urinary bladder after micturation
2. Normal phenomenon
3. Never seen with urinary bladder dysfunction
4. Common finding of examination anxiety

Correct answer: 1. Urine left in the urinary bladder after micturation

Explanation: Initially urinary bladder respond at irregular intervals to adequate internal distance and by contraction of detrusor muscle. these contractions are not powerful enough or well coordinator result in incomplete maturation. Thus a large volume of urine may be left in the bladder called as residual urine. Ref: page no 584 Textbook of physiology Volume 1 AK Jain 7th edition